The movement at the following joint permits a person to look towards the right or left :
1. Atlanto-occipital joint
2. Atlanto-axial joint
3. C2-C3 joint
4. C3-C4 joint

Correct answer: 2. Atlanto-axial joint

Explanation: B. i.e. Atlanto - Axial Joint Atlanto - occipital (b/w skull & C1) joint permit nodding of head (as when indicating approval or yes)& Atlantoaxial joint permits the head to be turned from side to side i.e. rotation (as indicating disapproval, the no movement)